Tick transmits all except?
1. Relapsing fever
2. Tick typhus
3. Chagas disease
4. Viral encephalitis

Correct answer: 3. Chagas disease

Explanation: Ans. is `c' i.e., Chagas disease